Essential obstetric care does not include:-
1. Three postnatal check ups
2. MTP facilities
3. Safe delivery at home or institution
4. Early registration of pregnancy

Correct answer: 2. MTP facilities

Explanation: Components of obstetric care in RCH program:- Essential Obstetric Newborn care Emergency Obstetric Newborn Care -Level 1 -PHC's Early registration of pregnancy (within 12-16 weeks) Antenatal care: Min 3 checkups by ANM/MO Safe Delivery Postnatal care- Min. 3 postnatal checkups New born Care Basic EmONC - Level 2 - 24 x 7 PHC's ,CHC's Manual removal of Placenta Oxytocics Antibiotics Anti convulsants Assisted Delivery Vaccum aspiration New born Resuscitation Comprehensive EmONC - Level 3 - District Hospital,FRU's includes Basic EmONC and 8. Blood transfusion 9. surgery